Hasse's formula is used in pregnancy to?
1. Estimate fetal age
2. Identify fetal blood group
3. Identify fetal sex
4. Identify fetal congenital malformations

Correct answer: 1. Estimate fetal age

Explanation: Ans. (a) Estimate fetal ageRef. Textbook of forensic medicine and toxicology by nageshkumar rao, p 321